Most common cause of death in malignant melanoma is due to
1. Sepsis
2. Adverse effects of chemotherapy
3. Metastasis to lungs
4. CNS metastasis

Correct answer: 4. CNS metastasis

Explanation: CNS metastasis is the most common cause of death in malignant melanoma.